The most common association with coarse pitting of nails and onycholysis is:
1. Cicatricial alopecia
2. Well defined scaly plaques
3. Polygonal papule
4. Violaceous papules

Correct answer: 2. Well defined scaly plaques

Explanation: Ans. b. Well defined scaly plaquesPolygonal violaceous (purple) papules and cicatricial alopecia is seen in lichen planus